Following latrines are suitable for camps and temporary use except
1. Shallow trench latrine
2. Septic tank
3. Borehole latrine
4. Pit latrine

Correct answer: 2. Septic tank